A 25–year old male gives a history of redness, pain and mild diminished vision in one eye for past 3 days. There is also a history of a low backache for the past one year. On examination, there is circumcorneal congestion, the cornea is clear apart from a few fine keratic precipitates on the corneal endothelium, there are 2+ cells in the anterior chamber and the intraocular pressure is within normal limits. The patient is most likely suffering from –
1. Acute attack of angle closure glaucoma
2. HLA B–27 related anterior uveitis
3. JRA associated uveitis
4. Herpetic keratitis

Correct answer: 2. HLA B–27 related anterior uveitis

Explanation: Information in this question are :-


Age → 25 years
A low backache (most likely due to sacroiliitis)
Circumcorneal congestion, KPs, aqueous cells (2 + cells in anterior chamber)
Normal intraocular tension


The diagnosis is anterior uveitis.
A most common cause of anterior uveitis in young adults is HLA-B27 associated uveitis (ankylosing spondylitis). Low back pain (due to sacroiliitis) further supports the diagnosis.